Which of the following may not seasonal may not cause microvesicular steatosis
1. Alcoholic fatty liver
2. Tetracycline toxicity
3. Acute fatty liver of pregnancy
4. Reyes syndrome

Correct answer: 1. Alcoholic fatty liver

Explanation: Refer Robbins page no 830